Porto systemic shunt is not seen in
1. Liver
2. Spleen
3. Anorectum
4. Gastro Esophageal

Correct answer: 2. Spleen

Explanation: B i.e. Spleen